Normal pressure Hydrocephalus is characterized by all except:
1. Aphasia
2. Dementia
3. Ataxia
4. Urinary incontinence

Correct answer: 1. Aphasia

Explanation: Answer is A (Aphasia): Ataxia, Urinary incontinence & Dementia constitute the characteristic triad of Normal Pressure Hydrocephalus.